Traumatic eye lesion can causes:
1. Vitreous haemorrhage
2. Corneal opacity
3. Exudative retinal detachment
4. All

Correct answer: 4. All

Explanation: Ans. All